Primary sinusoidal dilatation of liver is also known as
1. Hepar lobatum
2. Peliosis hepatic
3. Von-Meyerburg complex
4. Caroli's disease

Correct answer: 2. Peliosis hepatic

Explanation: Peliosis hepatis is an uncommon vascular condition characterised by multiple, randomly distributed, blood-filled cavities throughout the liver. The size of the cavities usually ranges between a few millimetres and 3 cm in diameter. In the past, it was a mere histological curiosity occasionally found at autopsies, but has been increasingly recognised with wide-ranging conditions from AIDS to the use of anabolic steroids. It also occasionally affects spleen, lymph nodes, lungs, kidneys, adrenal glands, bone marrow, and other parts of gastrointestinal tract.